Elevators of eye -
1. SR and IO
2. IO and SO
3. IR and SO
4. SO and SR

Correct answer: 1. SR and IO

Explanation: Actions of extraocular muscles : Muscle Primary Secondary Tertiary action action action LR Abduction -- -- SR Elevation Intorsion Adduction IR Depression Extorsion Adduction SO Intorsion Depression Abduction IO Extorsion Elevation Abduction Ref;A.K.Khurana ; 6th edition; Page no:339